The most significant adverse consequences of accidental intravenous administration of a local anesthetic is
1. Bronchoconstriction
2. Hepatic damage
3. Nerve damage
4. Seizures

Correct answer: 4. Seizures